The principal use of ethosuximide is in:
1. Focal onset seizure
2. Alcohol withdrawal seizure
3. Absence seizure
4. Atypical absence seizure

Correct answer: 3. Absence seizure

Explanation: Ethosuximide is mainly indicated for absence seizure. Ref: Harrisons principles of internal medicine, 18th edition, Page 3263, Table: 369/9.